Which of these teeth are highly sturdy and usually the last ones to be lost?
1. First molar
2. Central incisors
3. Canines
4. Premolars

Correct answer: 3. Canines